Gold standard flap for breast reconstruction -
1. TRAM flap
2. LD flap
3. DIEP flap
4. Silicone gel implant

Correct answer: 3. DIEP flap

Explanation: Ans. is 'C' i.e., DIEP flap